Polytrauma patient back examination -
1. Log roll
2. Barrel role
3. Chin lift
4. None

Correct answer: 1. Log roll

Explanation: Ans. is 'a' i.e.,Log roll Log roll o Once the patient has been evaluated anteriorly, a log roll should be performed to inspect the back. o One member of the team is responsible for maintaining in-line spinal stabilization (usually the anesthetist when the patient is intubated). o Three other trained staff hold the patient steady through the turn.